Which is not a branch of cavernous part of internal carotid artery?
1. Cavernous branch
2. Inferior hypophyseal
3. Meningeal artery
4. Ophthalmic artery

Correct answer: 4. Ophthalmic artery

Explanation: Internal carotid artery is a terminal branch of common carotid artery. It first runs through the neck (cervical part), then passes through the petrous bone(petrous part), then courses through the sinuses(cavernous sinuses)and lastly lies in relation to the brain(cerebral part). AREA OF DISTRIBUTION Cervical part of the artery does not give any branch. Petrous part gives branches for the middle ear. Cavernous part supplies hypophysis cerebrospinal.The cerebral part gives ophthalmic artery for orbit,anterior cerebral,middle cerebral,anterior choroidal and posterior communicating for the brain. Ref BDC volume 3,Sixth edition pg 312